Hepatitis B can be transmitted through all of the following, except
1. Semen
2. Blood
3. Breast milk
4. Fecal-oral (stool)

Correct answer: 4. Fecal-oral (stool)

Explanation: Answer is D (Fecal-oral route) Transmission of Viral Hepatitis: Feature HAV HBV HCV HDV HEV Transmission Fecal-oral +++ - - +++ Percutaneous Unusual +++ +++ +++ - Perinatal - +++ +- + ? Sexual +- ++ + ++ --